All of the following anti-microbials show Concentration dependent Killing except
1. Amikacin
2. Metronidazole
3. Penicillin G
4. Fluoroquinolones

Correct answer: 3. Penicillin G

Explanation: * Time dependent killing(TDK) : Here, the killing activity depends upon the length of time, plasma concentration is above MIC. It is shown by:* Beta Lactams.* Vancomycin* Concentration dependent killing(CDK) : Here, killing activity depends upon the ratio of plasma concentration to MIC.It is shown by:* Aminoglycosides.* Flouroquinolone* MetronidazoleTDK and CDK mainly apply to cidal drugs.So, Penicillin G is beta lactam and follows TDK.